Preaxial border of limb is
1. Ulnar border of forearm
2. Fibular border of leg
3. Radial border of forearm
4. None of the above

Correct answer: 3. Radial border of forearm

Explanation: The limbs are at first directed backward nearly parallel to the long axis of the trunk, and each presents two surfaces and two borders. Of the surfaces, one--the future flexor surface of the limb--is directed ventrally; the other, the extensor surface, dorsally; one border, the preaxial, looks forward toward the cephalic end of the embryo, and the other, the postaxial, backward toward the caudal end. The lateral epicondyle of the humerus, the radius, and the thumb lie along the preaxial border of the upper limb; and the medial epicondyle of the femur, the tibia, and the great toe along the corresponding border of the lower limb. The preaxial part is derived from the anterior segments, the postaxial from the posterior segments of the limb-bud; and this explains, to a large extent, the innervation of the adult limb, the nerves of the more anterior segments being distributed along the preaxial (radial or tibial), and those of the more posterior along the postaxial (ulnar or fibular) border of the limb. The limbs next undergo a rotation or torsion through an angle of 90deg around their long axes the rotation being effected almost entirely at the limb girdles. In the upper limb the rotation is outward and forward; in the lower limb, inward and backward. As a consequence of this rotation the preaxial (radial)